Vaccines at PHC are stored in
1. Ice box
2. ILR
3. Deep freezer
4. None

Correct answer: 2. ILR

Explanation: Deep freezers are supplied to all districts and PHC to store vaccines. At the PHC level, deep freezers are used only for the preparation of ice packs and are not used for storing UIP vaccines (refer pgno:109 park 23rd edition)